Breastfeeding is contraindicated in -
1. Galactosemia
2. Tuberculosis history 2 years back
3. Hepatitis B positive mother
4. LBW infant

Correct answer: 1. Galactosemia

Explanation: Ans. is 'a' i.e., Galactosemia Contraindications of breastfeeding o These are: 1) Galactosemia 2) Active untreated tuberculosis - only in the initial period. 3) HIV positive mother - especially in the developed country. 4) Some medication